The term "Dementia praecox" was coined by-
1. Freud
2. Bleuler
3. Kraepelin
4. Schneider

Correct answer: 3. Kraepelin